According to Dummer classification Type III is
1. Single apical constriction
2. Tapering apical constriction
3. Multi constricted
4. Parallel constriction

Correct answer: 3. Multi constricted